Chronic lymphoedema of the limb is predisposed to all of the following except
1. Thickenening of the skin
2. Recurrent soft tissue infections
3. Marjolin's ulcer
4. Sarcoma

Correct answer: 3. Marjolin's ulcer

Explanation: Marjolin's ulcer: - Refers to the development of malignant ulcers over chronic scars most commonly those from burns. Malignancy is usually a squamous cell carcinoma and has not been mentioned as a complication of lymphoedema. Features of chronic lymphoedema of limb Initially, the lymphoedema is soft and pits on the pressure but with time the skin becomes thickened & non-pitting due to fibrosis, dermal thickening and hyperkeratosis. Frequent episodes of lymphangitis and cellulitis may occur. this is believed to be due to loss of local immune defence mechanism. Chronic eczema, a fungal infection of the skin (dermatophytosis) and nails (onychomycosis), fissuring, verrucae and papillae (warts) are frequently seen in advanced disease. Rarely malignancy (lymphangiosarcoma or angiosarcoma) may occur in chronic lymphoedema. This neoplastic transformation of blood vessels and lymphatics is called Stewart - Treves syndrome.